Products formed from alcohol but not the intermediate of TCA cycle?
1. Acetaldehyde
2. Succinate
3. Fumarate
4. Oxaloacetate

Correct answer: 1. Acetaldehyde

Explanation: Acetaldehyde is formed from alcohol and not intermediate of TCA cycle. Whereas, Succinate,fumarate and oxaloacetate all are intermediate of TCA